The fingerprint pattern may be impaired permanently in cases of
1. Eczema
2. Scalds
3. Scabies
4. Leprosy

Correct answer: 4. Leprosy

Explanation: Fingerprints are usually lost in leprosy, electric injury and after exposure to radiation. It cannot be removed by wounds or burns. It may also produce additional characteristics.Dr.K.S.Narayana Reddys Synopsis of Forensic Medicine & Toxicology 27th edition pg. 48.